Romana's sign is seen in?
1. Toxoplasma
2. Trypanosoma cruzi
3. Loa loa
4. Wuchereria

Correct answer: 2. Trypanosoma cruzi

Explanation: Ans. (b) Trypanosoma cruzi Romana sign, also known as chagoma, refers to periorbital swelling, palpebral oedema and conjunctivitis seen 1-2 weeks following infection with Trypanosoma cruzi (causative agent in Chagas disease). Romana sign is associated with ipsilateral regional lymphadenopathy. History and etymology It is named after Cecilio Felix Romana (1899 - 1997), Argentinian physician, who first described the phenomenon.